Bone affection in scurvy is due to
1. Poor mineralization of the osteoid tissue
2. Defective osteoid matrix formation
3. Defective calcification in osteoid
4. Increased degradation of osteoid tissue

Correct answer: 2. Defective osteoid matrix formation

Explanation: Major consequences of vitamin C deficiency caused by impaired forma on of collagen. Ref : Biochemistry by U. Satyanarayana 3rd edition Pgno : 414